What does mummification refer to:
1. Coagulative putrefaction
2. Dessication of a dead body
3. Hardening of muscle after death
4. Saponification of subcutaneous fat

Correct answer: 2. Dessication of a dead body

Explanation: Mummification is a modification of putrefaction. In this process, dehydration or drying and shriveling of the cadaver occur from the evaporation of water, but the natural appearences and features of the body are preserved. Ref: The Essentials of Forensic Medicine and Toxicology By Dr K S Narayan Reddy, 27th Edition, Page 151